Regarding ribosome all is true except
1. 16 S ribosome identifies shine- dalgamo sequence
2. Cytosolic ribosomes synthesize proteins of peroxisome
3. Large subunit catalyzes peptide bond formation
4. Binding of aminoacyl tRNA uses 2ATP

Correct answer: 4. Binding of aminoacyl tRNA uses 2ATP

Explanation: D i.e. Binding of aminoacyl tRNA uses 2ATP- Component of 50s subunit are 23s & 5s; and components of 60s subunit are 28s, 5.8s and 5s.Ribosome is a highly conserved natural machine for protein synthesis that brings m-RNA & t-RNA togetherQ. It has 2 subunits the large subunit catalzes peptide bond formation whereas small subunit is responsibl for accuracy. 16s rRNA component of 30s subunit identifies & binds shine Dalgarno sequence. Binding of aminoacyl tRNA to A site uses 1 GTP. Free cytosolic ribosomes synthesize proteins required in cytosol, nucleus, mitochondria & peroxisomes. Whereas RER bound ribosome form proteins for various plasma membranes.